18 yr female with itchy erythema, swelling of toes every winter season seen due to
1. Raynauds disease
2. Raynauds phenomenon
3. Chilblains
4. Frost bite

Correct answer: 3. Chilblains

Explanation: Answer- C. ChilblainsAlso known as pernio, It is an inflammatory skin condition presenting after exposure to cold as pruritic and/or painful erythematous to viloaceous acral lesions.It may be idiopathic or secondary to an underlying disease.